Blow out fracture of orbit involves
1. Medial wall
2. Superior wall
3. Inferior wall
4. All the walls

Correct answer: 3. Inferior wall

Explanation: Ans. (c) Inferior wallRef; Kanski 7/e, p. 873Blow out fracture is typically of the orbital floor, it may also involve the medial wall but always as a secondary involvement.